Ketamine is contraindicated in
1. Ischemic heart disease
2. Bronchial asthma
3. Shock
4. Tetrology of Fallot

Correct answer: 1. Ischemic heart disease

Explanation: Ketamine is agent of choice in Acute shock Bronchial asthma Induction in cyanotic heart disease. Contraindications: Raised intracranial pressure Vascular aneurysm surgery Schizophrenia Hyperthyroidism Ischemic heart disease Open globe injury- as ketamine raises intraocular pressure